All are true regarding disinfectants except -a) Gluteraldehyde is sporicidalb) Hypochlorites are virucidalc) Ethylene oxide is intermediate disinfectantd) Phenol usually requires oganic matter to act
1. cd
2. bc
3. bd
4. ac

Correct answer: 1. cd